Which amongst the following statements is true?
1. Glyburide is absolutely contraindicated for GDM
2. Patients with GDM/DM should be delivered between 34 and 36 weeks of gestation, as there is a risk of sudden IUFD at full term.
3. PTH crosses placenta
4. Phosphatidyl glycerol in amniotic fluid is 100% confirmatory of lung maturity

Correct answer: 4. Phosphatidyl glycerol in amniotic fluid is 100% confirmatory of lung maturity

Explanation: Unlike other oral hypoglycemic agents, glyburide and metformin both are being increasingly used for GDM (not for overt DM) and are found to be safe. Patients with GDM/DM should be delivered between 38 and 39 weeks of gestation, as there is a risk of sudden IUFD at full term. Hormones which do not cross the placenta are 1. Insulin, 2. PTH, and 3. Calcitonin. Lung maturity is delayed in DM/GDM. - L/S >2:1 is not reliable. - Phosphatidyl glycerol in amniotic fluid is 100% confirmatory of lung maturity in these cases.